Submerged teeth are
1. Ankylosed teeth
2. Unerupted teeth
3. Impacted teeth
4. Intruded teeth

Correct answer: 1. Ankylosed teeth